Which of the following statements about 'Low' Radial nerve palsy is not true:
1. Loss of nerve supply to brachioradialis
2. Loss of nerve supply to extensor carpi radialis brevis
3. Loss of nerve supply to extensor pollicis brevis
4. Loss of sensation over first dorsal web space

Correct answer: 1. Loss of nerve supply to brachioradialis

Explanation: A i.e. Loss of nerve supply to brachoradialis - Mnemonic - "TAB Long radial muscle" i.e. Triceps, Anconeus, Brachialis and Brachioradialis & Extensor carpi radialis longus muscles are spared in low radial nerve lesions (i.e. lesions below the level of elbow.) - Lateral & posterior cutaneous nerves of arm and posterior cutaneous nerve of forearm are also spared in low radial nerve lesions.